Which of the following is commonly responsible for toxic shock syndrome in female patient:
1. Streptococcus-group B
2. Pseudomonas
3. H.influenzae
4. Staphylococcus aureus

Correct answer: 4. Staphylococcus aureus

Explanation: Ans. D: Staphylococcus aureus Toxic shock syndrome is a severe systemic illness characterised by shock, pyrexia, an erythematous rash, gastrointestinal disturbance and central nervous system signs including lethargy or irritability. It is mediated by toxins produced by some strains of bacteria, most commonly Staphylococcus aureus or Group A Streptococcus. It has a high associated mortality of up to 50% if untreated. Children under 4 years of age with skin loss are particularly at risk, having not developed antibodies to the toxins produced by the bacteria.